The anti-infective substance in breast milk that protects the baby from malaria is
1. Lactobacillus bifidus factor
2. Lactoferrin
3. PABA
4. Bile salt stimulated lipase

Correct answer: 3. PABA

Explanation: Para-amino-benzoic acid (PABA) of breast milk provides protection against malaria. Page 97,Ghai essential pediatrics 6th edition